All are true regarding Gaussian distribution except
1. It is measure of asymmetry of probability distribution of a random variable
2. It is bilaterally symmetrical and bell shaped
3. Mean, median and mode coincide
4. Parametric tests are used to find statistical significance

Correct answer: 1. It is measure of asymmetry of probability distribution of a random variable

Explanation: Normal distribution is also known as Gaussian distribution Mean=Median=Mode (Coincide)= 0 Standard deviation is 1. Area under the curve is 1. Bilaterally symmetrical, Bell shaped curve.